All of the following are Typical Antipsychotics, EXCEPT
1. Risperidone
2. Haloperidol
3. Chlorpromazine
4. Pimozide

Correct answer: 1. Risperidone

Explanation: (A) Risperidone # TYPICAL ANTIPSYCHOTICS> Phenothiazines: Chlorpromazine (Thorazine) Fluphenazine (Prolixin) - Available in decanoate (long acting) form Perphenazine (Trilafon) Prochlorperazine (Compazine) Thioridazine (Mellaril) Trifluoperazine (Stelazine) Mesoridazine Promazine Triflupromazine (Vesprin) Levomepromazine (Nozinan)> Thioxanthenes: Chlorprothixene Flupenthixol (Depixol and Fluanxol) Thiothixene (Navane) Zuclopenthixol (Clopixol and Acuphase)> Butyrophenones: Haloperidol (Haldol) - Available in decanoate (long acting) form Droperidol Pimozide (Orap) - Used to treat Tourette syndrome Melperone# ATYPICAL ANTIPSYCHOTICS Clozapine - Requires weekly to biweekly CBC (FBC) because of risk of agranulocytosis (a severe decrease of white blood cells). Olanzapine - Used to treat psychotic disorders including schizophrenia, acute manic episodes, and maintenance of bipolar disorder. Dosing 2.5 mg to 20 mg per day. altered glucose metabolism leading to an increased risk of diabetes mellitus. Risperidone - Dosing 0.25 to 6 mg per day and is titrated upward. Used off-label to treat Tourette Syndrome. Quetiapine - Used primarily to treat bipolar disorder and schizophrenia, and "off label" to treat chronic insomnia and restless legs syndrome; it is a powerful sedative (if it's used to treat sleep disorders and is not effective at 200 mg, it is not going to be effective in this regard). Ziprasidone - Now (2006) approved to treat bipolar disorder. Dosing 20 mg twice daily initially up to 80 mg twice daily. Prolonged QT interval a concern; watch closely with patients who have heart disease; when used with other drugs that prolong QT interval potentially life-threatening. Amisulpride - Selective dopamine antagonist. Lower doses of amisulpride have also been shown to have anti-depressant and anxiolytic effects in non-schizophrenic patients, leading to its use in dysthymia and social anxiety disorder. Paliperidone - Derivative of risperidone.